Schistocyte is/are found in all except-
1. ITP
2. Severe iron deficiency
3. March hemoglobinuria
4. DIC

Correct answer: 1. ITP

Explanation: Ans. A Schistocvfes o A schistocyte is defined as an irregularly shaped erythrocyte fragment caused by mechanical trauma or an intrinsic abnormality of erythrocytes. Schistocytes: Mechanisms and Diseases Shearing by fibrin strands: o Microangiopathic hemolytic anemia o Disseminated intravascular coagulation o Hemangiosarcoma o Glomerulonephritis o Myelofibrosis o Hemolytic uremic syndrome o Hyperspleenism Turbulent blood flow o Congestive heart failure o Valvular stenosis o Caval syndrome in heart worm disease o Hemangiosarcoma Intrinsic abnormalities o Chronic doxorubicin toxicosis o Severe iron deficiency anemia o Pyruvate kinase deficiency o Congenital and acquired dyserythropoiesis o Microangiopathic hemolytic anemia can occur in External impact; March hemoglobinuria Cardiac hemolysis : Prosthetic cardiac valves Fibrin deposit in microvasculature: TTPr DIC, HUS